Which of the following strata of oral epithelium is engaged in mitosis?
1. Basale.
2. Granulosum.
3. Corneum.
4. Spinosum.

Correct answer: 1. Basale.

Explanation: The site of cell division (mitosis) occurs in the stratum basale (basal layer, stratum germinativum) of oral epithelium.